A two year old unimmunized child presents to a primary health centre with fever since 5 days. Mother also gives a history of rash starting behind ear-pinna a day before coming to OPD. On examination, child is having running nose and congested eyes. Most probable diagnosis is:-
1. Rubella
2. Mumps
3. Measles
4. Chickenpox

Correct answer: 3. Measles

Explanation: MEASLES Incubation period :10-14 days Causative agent: RNA paramyxovirus Source of infection: cases Period of communicability: 4 days before & 4 days after the appearance of rash Measles has no second attacks Pathognomic clinical feature of measles: koplik spots Other clinical features: coryza, fever, red eyes, cough MC complication of measles in young children: otitis media.